Drug induced lupus can be identified by-
1. Anti-histone antibodies
2. Double stranded DNA antibodies
3. Antinuclear antibodies
4. Anti-SM antibodies

Correct answer: 1. Anti-histone antibodies